In retinitis pigmentosa, "night-blindness" is an early symptom of visual loss. Which of the following explains this phenomenon?
1. Cones are relatively preserved compared to ganglion cells
2. Cones are relatively preserved compared to rods
3. Ganglion cells are relatively preserved compared to cones
4. Ganglion cells are relatively preserved compared to rods

Correct answer: 2. Cones are relatively preserved compared to rods

Explanation: Retinitis pigmentosa is a familial degenerative disease of the retina that most often has recessive genetics. The initial problem appears to be alterations in the pigmented epithelium below the retina, particularly in the most anterior portions of the retina. The pigmented epithelial cells become disrupted and leak pigment, which accumulates along the attenuated blood vessels (and can be seen with an ophthalmoscope). A consequence of this damage is that the rod cells that are normally nutritionally supported and "groomed" by the pigment epithelium also undergo degenerative changes. Since the cones are relatively preserved, day vision is preserved, but night vision, which is highly dependent on rods, begins to decay. With disease progression, vision is completely or nearly completely lost and the retina becomes so distorted that only a single row of cone nuclei with scattered stumpy cone remnants is all that remains of the photoreceptor layer. Ref: Fletcher E.C., Chong N., Augsburger J.J., Correa Z.M. (2011). Chapter 10. Retina. In P. Riordan-Eva, E.T. Cunningham, Jr. (Eds), Vaughan & Asbury's General Ophthalmology, 18e.